All the following viruses are known to cause Lymphomas except:
1. Human T cell leukemia Virus (HTLV-l)
2. Epstein Barr Virus (EBV)
3. Japanese Encephalitis (JE) virus
4. (KSHV/ HHV-8)

Correct answer: 3. Japanese Encephalitis (JE) virus

Explanation: Japanese Encephalitis (JE) virus